The normal gingival color is
1. Red
2. Yellow
3. Coral pink
4. Whitish gray

Correct answer: 3. Coral pink